Which of the following has cytoplasmic receptor
1. Epinephrine
2. Insulin
3. PSH
4. Cortisol

Correct answer: 4. Cortisol

Explanation: Cortisol has cytoplasmic receptor Ref-KDT 6/e p280